Bacteria most commonly involved in bowel decomposition after death is -
1. Streptococcus pyogens
2. Clostridium welchii
3. Pseudomonas aerogenosa
4. None

Correct answer: 2. Clostridium welchii

Explanation: Ans. is 'b' i.e. Clostridium welchii o Bowel decomposition is brought about by aerobic and anaerobic bacteria present in small intestine (e.g. C. welchii, staphylococcus, E.coli etc.) which release enzymes (especially lipase and lecithinase) which act on body to cause breakdown.